Bestiality is -
1. Having intercourse with an animal
2. Cruelty to animals
3. Cruelty to fellow human
4. Beast like behaviour of an insane

Correct answer: 1. Having intercourse with an animal

Explanation: Bestiality is sexual intercourse by a human being with an animal.